All of the following are definitive tests for developmental surveillance except:
1. Bayley-II
2. Stanford-Binet
3. Denver-II
4. Wechsler

Correct answer: 3. Denver-II

Explanation: Denver-II is a developmental screening test (not definitive test) which assesses child development in 4 domains Gross motor Fine motor adaptive Language and Personal Social behaviour Tests for the developmental quotient Definitive tests Screening Tests Bayley Scales of Infant and Todller development (Bayley-II) Stanford-Binet Intelligence Scale Wechsler Intelligence Scale Developmental Activities Screening Inventory (DASI-II) Vineland Adaptive Behaviour Scale II Denver-II Developmental screening test Phatak's Baroda Screening test Trivandrum Development Screening Chart Cognitive Adaptive Test/Clinical Linguistic and Auditory Milestone Scales (CAT/CLAMS) Good enough Harris Draw-a-man Test Gessel Figures and block Skills Ref: Ghai Essential Pediatrics 9th edition Pgno: 56